The combination of rest pain, colour changes, oedema and hyperaesthesia
1. Gangrene
2. Pregangrene
3. Necrosis
4. Vasculitis

Correct answer: 2. Pregangrene